All of the following areas are commonly involved sites in pelvic fracture except
1. Pubic rami
2. Alae of ilium
3. Acetabulum
4. Ischial tuberosities

Correct answer: 4. Ischial tuberosities

Explanation: ref : maheswari 9th ed